Acrodermatitis enteropathica is associated with deficiency of?
1. Zinc
2. Molybdenum
3. Vitamin B12
4. Free fatty acids

Correct answer: 1. Zinc

Explanation: Ans is 'a' i.e. Zinc * Acrodermatitis enteropathica (AE) is an autosomal recessive inborn error of zinc metabolism that is associated with mutations in a gene encoding the zinc transporter protein, leading to decreased zinc uptake.* It is associated with periorificial and acral dermatitis, diarrhea, behavioral changes, and neurologic disturbances. In older children, zinc deficiency is characterized by failure to thrive, anorexia, alopecia, nail dystrophy, and repeated infections.* Skin involvement may present withi) Blistering & erosionsii) Dry skiniii) Glossitisiv) Pustules